Hypokalemia is
1. <3.5
2. <4.5
3. <5.6
4. <6.5

Correct answer: 1. <3.5

Explanation: Hypokalaemia is a common electrolyte disturbance and is defined as existing when serum K+ falls below 3.5 mmol/L. The main causes of hypokalaemia Ref Davidson 23rd edition pg 363